Recommended adult prophylaxis for meningococcal infection is;
1. Rifampicin 600 mg twice daily for 2 days
2. Ampicillin Ig daily for 5 days
3. Tetracycline 2 g daily for 1 day
4. Chloramphenicol 2 g daily for 2 days

Correct answer: 1. Rifampicin 600 mg twice daily for 2 days

Explanation: Rifampicin 600 mg twice daily for 2 days * Recommended adult prophylaxis for meningococcal meningitis is rifampicin 600 mg twice daily for 2 days. Chemoprophylaxis is recommended for close contacts of persons with meningococcal disease.